Goniometer is used for :
1. Amount of vaginal secretions
2. To measure width of genital hiatus
3. Gonococcal colony count
4. Urethrovesical Angle

Correct answer: 4. Urethrovesical Angle

Explanation: Goniometer It is used to measure baseline urethral angle and maximum strain angle of urethra with a cotton tip swab in place The bladder forms an angle of 100 degree with posterior urethral wall which is also responsible for maintaining urinary continence Ref: Berek and Novak's Gynecology; 15th edition; Chapter 27